Enzyme level in tissue injury is due to-
1. Lysis of cells
2. Enzyme secretion
3. No inhibitor in serum
4. All of the above

Correct answer: 1. Lysis of cells

Explanation: Ans. is 'a' i.e., Lysis of cells o Leakage of intracellular proteins (enzyme) across the degraded cell membrane into the peripheral circulation provides a means of detecting tissue specific cellular injury and death. o For example, creatinine phosphokinase for cardiac muscle injury and alkaline phosphatase for liver injury.